Patterns of inter relationships between persons in a society is -
1. Social structure
2. Social psychology
3. Herd structure
4. Social science

Correct answer: 1. Social structure

Explanation: Social structure refers to the pattern of inter relationships between persons.Every society has a social structure - a complex of major institutions ,groups,power structure and status hierarchy. Ref:(p.727) 25 th edition Park's textbook of Preventive and Social Medicine.